QT prolongation is caused by:-
1. Quinidine
2. Omeprazole
3. Lidocaine
4. Penicillin

Correct answer: 1. Quinidine

Explanation: Drugs causing QT prolongation are: Cisapride Astemizole Terfanidine Class 1A anti-arrythmic drugs: Quinidine, Procainamide. Class 3 anti-arrythmic drugs: Bretylium, Ibutilide